Best treatment of subdural haemotoma in a deteriorating patient
1. By I/V Mannitol
2. Oxygenation
3. Use of steroids
4. Surgical evacuation

Correct answer: 4. Surgical evacuation

Explanation: Subdural haematoma is the collection of blood between the dura and arachnoid. types- acute sub, subacute and chronic subdural haematoma acute-it is due to injury to cortical veins and often due to laceration of cortex of brain. chronic-it is due to rupture of veins causing gradual collection of bloodin sub dural space. treatment acute SDH-antibiotics ,anticonvulsants, surgical decompression is done by craniotomy (i.e; decompressive craniectomy) chronic SDH- standard craniotomy or mini craniotomy or burrhole craniostomy and evacuation of Chronic-SDH fluid is done ,antibiotics,anticonvulsants (Ref: greenberg handbook of neurosurgery, 8th ed, p-895)